A 40yr old patient developed high fever of sudden onset .Peripheral blood film showed malaria parasite pigment was yellowish brown and schizonts were 9-10microns and contained 20 merozoites each
1. Pl vivax
2. Pl falciparum
3. Pl malariae
4. Pl ovale

Correct answer: 1. Pl vivax

Explanation: The features are consistent with the diagnosis of Pl vivax .yellow brown pigment-vivax Dark brown pigment-falciparum Ref: D.R. Arora. Medical parasitology 4th ed pg. 77